Which is NOT a component of Werner's syndrome-
1. Pituitary
2. Adrenal
3. Parathyroid
4. Pancreas

Correct answer: 2. Adrenal

Explanation: MEN I or Werner's syndrome is characterized by abnormalities involving the parathyroid, Pancreas & Pituitary glands (3Ps)
Parathyroid → Primary hyperparathyroidism is the most common manifestation of MEN I
Pituitary → The most common type of anterior pituitary tumor in MEN I is Prolactinoma
Pancreas → Includes Islet cell tumors
Note: Adrenals (pheochromocytoma) may also be involved, but less commonly.